In a study dye ABC is used to measure cardiac output and blood volume. The dye is replaced with a new dye XYZ which diffuses more rapidly out of the capillaries. This would affect the study by
1. Normal cardiac output, altered blood volume
2. Altered cardiac output, normal blood volume estimation
3. Both altered
4. Both normal

Correct answer: 1. Normal cardiac output, altered blood volume